Progestin only pills should not be taken by women with following conditions except
1. Unexplained uterine except
2. Breast cancer
3. Migraine headache without aura
4. Severe active liver disease

Correct answer: 3. Migraine headache without aura

Explanation: POPs should not be taken by women.
With unexplained uterine bleeding, breast cancer, hepatic neoplasms, pregnancy or active severe liver disease.